In Elli 's classification of injured teeth a class IV represents
1. Non-vital tooth
2. Avulsed tooth
3. Fracture involving only the enamel
4. Fracture involving enamel and dentin but not pulp

Correct answer: 1. Non-vital tooth